Hyaline arteriosclerosis is seen in ?
1. Benign hypertension
2. Malignant hypertension
3. Renal artery stenosis
4. Ischemic cardiomyopathy

Correct answer: 1. Benign hypertension

Explanation: Ans. is 'a' i.e., Benign hypertension Vascular pathology in Hypertension Hypertension is associated with two forms of small blood vessels disease - 1.Hyaline arteriolosclerosis There is homogenous, pink, hyaline thickening of arteriolar wall. The lumen becomes narrow. It is characteristic of benign hypertension. It may also occur in diabetes and aging. 2. Hyperplastic arteriosclerosis It is characteristic of malignant hypertension. There is concentrentic, laminated thickening of arteriolar wall - onion skinning. There is mutinous intimal thickening and fibrous intimal thickening. There may be accompanied fibrinoid deposits with necrosis of the vessels wall - fibrinoid necrosis.